Wire loop thickening of glomerular basement membrane is seen in -
1. Systemic lupus erythematosus (SLE)
2. Non Insulin Dependent Diabetes Mellitus
3. Rapidly progressive glomerulonephritis
4. Malignant hypertension

Correct answer: 1. Systemic lupus erythematosus (SLE)

Explanation: Ans. is 'a' i.e., Systemic lupus erythematosus o Wire loop thickening is a characteristic features of lupus nephritis. o It occurs because extensive subendothelial deposit in kidney causes a peculiar thickening of the capillaries which on light microscopy appear as wire loop lesions. o Wire loop lesions indicate active disease and poor prognosis. o Wire loop lesions are especially common in diffuse proliferative glomerulonephritis, but can also occur in focal proliferative and membranous glomerulonephritis.